All are treatable diseases of spinal cord EXCEPT ?
1. ALS
2. Multiple sclerosis
3. Syringomyelia
4. A-V malformation

Correct answer: 1. ALS

Explanation: Answer- A. ALSInflammatory : Multiple sclerosis, Neuromyelitis optica, transverse myelitis, sarcoidosis, SLE, vasculitisDevelopmental : Syringomyelia, meningomyelocele, tethered cord.Metabolic: Vitamin B12 deficiency (subacute combined degeneration), copper deficiency.Infections: CMV HSV, HTLV-I, HIV